All findings are seen in a patient with isolated aortic stenosis except?
1. Left ventricular impulse is displaced laterally
2. Pulsus bisferiens is hallmark finding
3. Systemic BP is normal in early stages of disease
4. Carotid thrill

Correct answer: 2. Pulsus bisferiens is hallmark finding

Explanation: Aortic stenosis(AS) Results in LVH -Double apical impulse and shift of apex beat laterally. Characteristic pulse -Pulsus parvus et tardus. Early stages -BP -Normal. Later stages -Low SBP , | Pulse pressure. Murmur - Ejection systolic murmur with carotid thrill. Pulsus bisferiens is seen in HOCM & severe AR.